A patient has a herniated intervertebral disc impinging on the right C5 nerve roots. Which of the following movements would most likely be affected?
1. Extension of the fingers
2. Extension of the shoulder
3. Flexion of the elbow
4. Flexion of the wrist

Correct answer: 3. Flexion of the elbow

Explanation: C5 helps mediate flexion, abduction, and lateral rotation of the shoulder, and flexion of the elbow. Both C5 and C6 mediate extension of the elbow. Extension of the fingers is mediated by C7 and 8. Extension of the shoulder is mediated by C7 and c8. Flexion of the wrist is mediated by C6 and 7. Ref: Gray's anatomy text book of anatomy BD chaurasia 21st Ed.